Spliting of the glomerular basement membrane is seen in -
1. Acute glomerulonephritis
2. Membranous glomerulonephritis
3. Membranoproliferative glomerulonephritis
4. Good pasture's syndrome

Correct answer: 3. Membranoproliferative glomerulonephritis

Explanation: Ans. is 'c' i.e., Membranoproliferative glomerulonephritis